Sago grain like vesicular eruption is seen in?
1. Pompholyx
2. Seborrhoeic dermatitis
3. Atopic dermatitis
4. Syphilis

Correct answer: 1. Pompholyx

Explanation: Ans. is 'a' i.e., Pompholyx